A patient of nephrotic syndrome taking steroids for 6 years presented with a limping gait and of limitation of abduction and internal rotation. He most probably has -
1. Primary osteoarthritis
2. Avascular necrosis
3. Tuberculosis
4. Aluminum toxicity

Correct answer: 2. Avascular necrosis